Which of the following anti emetic acts by stimulating cannabinoid - 1 (CB1) receptors
1. Aprepitant
2. Dronabinol
3. Apomorphine
4. Prucalopride

Correct answer: 2. Dronabinol

Explanation: Dronabinol is an anti - emetic which acts by stimulating Cannabinoid -1 receptors which also can stimulate appetite.